The investigation of choice for an ectopic pregnancy is –
1. CT scan
2. Transvaginal USG
3. Serum HCG levels
4. MRI

Correct answer: 2. Transvaginal USG

Explanation: Transvaginal ultrasound is the investigation of choice for unruptured ectopic pregnancy.